Patient came from Nagaland and shows positive test with OXK antigen. Diagnosis is?
1. Trench fever
2. Scrub typhus
3. Endemic typhus
4. Epidemic typhus

Correct answer: 2. Scrub typhus

Explanation: Ans. is 'b' i.e., Scrub typhus Weil felix reaction . This reaction is an agglutination test in which sera are tested for agglutinins to 0 antigens of certain nonmotile proteus strains OX - 19, OX - 2 and OX - K. . The basis of the test is the sharing of an alkali - stable carbohydrate antigen by some rickettsiae and by certain strains of proteus, P. vulgaris OX - 19 and OX - 2 and P. mirabilis OX - K. . The test is usually done as a tube agglutination, though rapid slide agglutination methods have been employed for screening. Weil felix Reaction Disease OX-19 OX-2 OX-K Rocky Mountain spotted fever Rickettsial pox Epidemic typhus + - + + - - ? ? _ Bril - Zinsser disease +/- - ? Scrub typhus - - + Endemic typhus + - ? Trench fever - ? Q fever -